Which of the following is anteriorly related to third part of duodenum:
1. Portal vein
2. Head of pancreas
3. Hepatic artery
4. Superior mesenteric vein

Correct answer: 4. Superior mesenteric vein

Explanation: Superior mesenteric vein (and artery) cross the anterior to the third part of the duodenum to enter the mesentery of small intestine. Head of pancreas is in superior relation. Relations : anteriorly: small bowel mesentery root and sup. mesentric artery. :posteriorly: right psoas muscle, right ureter, gonadal vessels, aorta and IVC.